What are the three cranial nerves that are at risk during the removal of submandibular salivary gland?
1. Marginal mandibular branch of facial nerve, glossopharyngeal nerve and spinal accessory nerve
2. Lingual nerve, marginal mandibular branch of facial nerve & spinal accessory nerve
3. Hypoglossal nerve, facial nerve & glossopharyngeal nerve
4. Marginal mandibular branch of facial nerve, lingual nerve & hypoglossal nerve

Correct answer: 4. Marginal mandibular branch of facial nerve, lingual nerve & hypoglossal nerve

Explanation: Marginal mandibular branch of facial nerve, lingual nerve & hypoglossal nerve are at risk during the removal of submandibular salivary gland due to their close relation with the gland. Three cranial nerves (CNs) are at risk during removal of the submandibular gland: 1 the marginal mandibular branch of the facial nerve;2 the lingual nerve; 3 the hypoglossal nerve. An adequate incision coupled with meticulous haemostasis allows the surgeon to identify these important structures during surgery.